Hyperoxygenation of premature infants may result in
1. Congenital glaucoma
2. Microphthalmia
3. Coloboma
4. Retrolental fibroplasia

Correct answer: 4. Retrolental fibroplasia

Explanation: Retrolental fibroplasia results from hyperoxygenation of premature infants. In premature infants, high oxygen concentration results in obliteration of the terminal arterioles, leading to hemorrhage and infarction of the retina. This phenomenon is peculiar to the incompletely vascularized peripheral retina.